Parasympathetic nerve supply to salivary gland is by:
1. IX & VII cranial nerves
2. V & IX cranial nerves
3. V & X cranial nerves
4. IX & X cranial nerve

Correct answer: 1. IX & VII cranial nerves